Phospholipase C acts as second messenger for which of the following hormones?
1. FSH
2. LH
3. TSH
4. GnRH

Correct answer: 4. GnRH

Explanation: GnRH receptors are a part of G protein coupled receptor superfamily and it functions primarily through the phospholipase C induced diacylglycerol and inositol triphosphate second messenger system. Second messengers used by hormones: CRH, ACTH, LH, FSH, TSH, PTH, calcitonin, glucagon, ADH (V2 receptor), hCG: increase cAMP. Prolactin: decrease cAMP. GHRH, GnRH, TRH, ADH (V1 receptor), oxytocin: DAG, IP3. Cortisol, aldosterone, testosterone, estrogen, progesterone, calcitriol, thyroid hormones: Steroid mechanism. NO: cGMP. Insulin and IGF-1: Tyrosine kinase. Ref: Physiology By Robin R. Preston, page 439